Which coenzyme is responsible for carboxylationreaction?
1. Biotin
2. FAD
3. NADH
4. Thiamine pyrophosphate

Correct answer: 1. Biotin

Explanation: biotin Biotin is the coenzyme required for enzymes that are involved in carboxylation reactions, e.g. acetyl-CoA carboxylase and pyruvate carboxylase. Most coenzymes are derived from vitamins. Below is given list of vitamins, derived coenzymes and the reactions they are involv ...... . Vitamin Coenzyme Reaction type Bi (Thiamine) TPP (thiamine pyrophosphate) Oxidative decarboxylation, transketolation B2 (Riboflavin) FMN, FAD Oxidation/Reduction B3(Pantothenate) CoA C - Coenzyme A Acyl group transfer B6 (Pyridoxine) PLP (Pyridoxal phosphate) Transfer of groups to and from amino acids (Transamination, Deamination,Condensation, Decarboxylation) B12 (Cobalamin) 5-deoxyadenosyl cobalamin, methylcobalamin Isomerization of methylmalonyl, synthesis of mehionine Niacin NAD+ , NADP+ Oxidation/Reduction Folic acid Tetrahydrofolate One carbon group transfer Biotin Biotin Carboxylation Vitamin K Vitamin K Carboxylation of glutamic acid residues